Familial hypercholesterolemia is associated with
1. Liver cirrhosis
2. Premature atherosclerosis
3. Nephrotic syndrome
4. Pancreatitis

Correct answer: 2. Premature atherosclerosis

Explanation: A positive correlation exists between the incidence of atherosclerosis and the plasma concentration of LDL cholesterol. The LDL (apoB-100, E) receptor is defective in familial hypercholesterolemia, a genetic condition which blood LDL cholesterol levels are increased, causing premature atherosclerosis.Ref: Harper's Biochemistry; 30th edition; Chapter 25; Lipid Transport & Storage